Call exner bodies are found in:
1. Granulosa cell tumour
2. Sertoli ley dig cell tumour
3. Gynandroblastoma
4. Thecoma

Correct answer: 1. Granulosa cell tumour

Explanation: Ans: A (Granulosa cell tumour)Explanation:GRANULOSA CELL TUMOURAccounts for 2% of ovarian neoplasmsOriginates from rest of Primitive granulosa cellsMost common ovarian stromal tumour2% bilateral, slow growingSolid/cvsticCut section--yellow/orange due to lipid contentHistopath- Cells polygonal or round with granular eosinophilic cytoplasm with ill defined borders with coffee bean nuclei- Granulosa cells are arranged in small clusters around a central cavity called call exner bodiesTumour marker--InhibinUnapposed estrogen secretion- Endometrial hyperplasia- Endometrial caC/F--due to hyperestrogenismPrecocious pubertyAUBPostmenopausal bleedingMay rupture and cause acute abdomenTreatment--Laparotomy and surgical staging. Unilateral salpingooopherectomyChemotherapyVAC Regimen BEP Regimen